Blue ear drum is seen in -
1. Serous otitis media
2. CSOM
3. Perforation
4. None

Correct answer: 1. Serous otitis media